Well defined rounded opacity is the lung with cause irregular calcification is a feature of:
1. Hamartoma
2. Hydatid cyst
3. Amoebic abscess
4. Ca lung

Correct answer: 1. Hamartoma

Explanation: Ans. Hamartoma